Stippled calcification on X-ray is seen in
1. Lymphoma
2. Wilm's tumor
3. Pheochromocytoma
4. Neuroblastoma

Correct answer: 4. Neuroblastoma

Explanation: Neuroblastoma is usually discovered as a mass or multiple masses on plain radiography, CT, or MRI. The mass often contains stippled calcification and hemorrhage that can be appreciated on plain radiography or CT. Reference: Nelson; Neuroblastoma; Page no: 2463